Which of the following is true about Posthumous child?
1. Born after death of father
2. Dead born child
3. Ficititious child
4. Illegitimate child

Correct answer: 1. Born after death of father

Explanation: A Posthumous chidis a child born after death of father, the mother having conceived by the said father. A Posthumous child is a live born legitimate child with the right to inheritence of property. Section 20 of Hindus Succession Act 1956 provides for the rights of child in womb. It states " child who was in the womb at that time of death of an intestate and who is subsequently born alive has the same right to inherit to the intestate as if he or she had been born before the death of the intestate and the inheritance shall be deemed to vest in such a case with effect from the date of the death of the intestate" Suppositious or Fictitious child is a child presented by a woman claiming to be her own. Here a woman may first feign pregnancy, then delivery and later produce a child claiming it to be her own to extort money by blackmail or divert succession of property. Such cases occur when succession to large states is involved or when money is to be extorted by blackmail. Ref: APC Essentials of Forensic medicine and Toxicology by Anil Aggarwal.